Scientist who worked on conduction in inner ear?
1. Young
2. Helmoltz
3. Bekesey
4. Malcom ritter

Correct answer: 3. Bekesey

Explanation: ANSWER: (C) BekeseyREF: http://hyperphysks.phy-astr,gsu.edu/bbase/sound/bekesy.html"Von bekesey gave the travelling wave theory of hearing in inner ear"